Marquis test is done for:
1. Mercury poisoning
2. Arsenic poisoning
3. Morphine poisoning
4. Cyanide poisoning

Correct answer: 3. Morphine poisoning

Explanation: Ans. Morphine poisoning